Which hormone is released when serum calcium decreases:
1. Parathormone
2. Calcitonin
3. Thyroxine
4. Adrenaline

Correct answer: 1. Parathormone

Explanation: Parathyroid hormone (PTH) is secreted by the parathyroid glands. Its main action is to mobilize calcium from bone and increase urinary phosphate excretion.